Acute emphysematous cholecystitis is caused by
1. Pseudomonas aeruginosa
2. Staphylococcus
3. Clostridium perfringens
4. Streptococcus pyogenes

Correct answer: 3. Clostridium perfringens

Explanation: Emphysematous cholecystitis It is thought to begin with acute cholecystitis (calculous or acalculous), followed by ischaemia or gangrene of GB wall and infection by gas producing organisms. Causative organisms of Emphysematous Cholecystitis Anaerobes : Clostridium welchi or Cl. Perfringens Aerobes : E.coli Ref: Sabiston 20th edition Pgno : 1493